Distance between undersurface of hygienic pontic and gingiva is
1. 1 mm
2. 1.5 mm
3. 2 mm
4. 2.5 mm

Correct answer: 3. 2 mm